All of the following structures forms the stomach bed except:
1. Hepatic flexure of colon
2. The left kidney
3. The pancreas
4. Transverse mesocolon

Correct answer: 1. Hepatic flexure of colon

Explanation: Relations of stomachAnteriorly: The anterior abdominal wall, the left costal margin, the left pleura and lung, the diaphragm, and the left lobe of the liverPosteriorly: The lesser sac, the diaphragm, the spleen, the left suprarenal gland, the upper part of the left kidney, the splenic artery, the pancreas, the transverse mesocolon, and the transverse colon.Hepatic flexure of colon is related to the colic impression on the inferior surface of the right lobe of the liver